All lesions are seen in leprosy except –
1. Erythematous Macule
2. Hypopigmented patch
3. Vesicles
4. Flat & raised patches

Correct answer: 3. Vesicles

Explanation: Leprosy is not a vesiculo-bullous (blistering) disorder.